Anticraving agent which acts as NMDA antagonist is
1. Naltrexone
2. Acamprosate
3. Baclofen
4. Topiramate

Correct answer: 2. Acamprosate

Explanation: Anticraving drugs used to treat alcohol abuse

Acamprosate: NMDA blocker
Naltrexone: Opioid antagonist.